Halophilic vibrio which causes wound infection at sae coast is
1. Vibrio vulinificus
2. Vibrio parahemolyticus
3. Vibrio mimicus
4. Vibrio cholerae

Correct answer: 1. Vibrio vulinificus

Explanation: Ans. is 'a' i.e.,Vibrio vulinificus Vibrio vulinificus is an opportunistic pathogen (Halaphilic vibrio) that is primarily associated with wound and ear infections and occasionally eye infections.